Steroids are indicated in all of the following forms of tuberculosis except:
1. Meningitis
2. Pericarditis
3. Ileo-caecal tuberculosis
4. Adrenal involvement

Correct answer: 3. Ileo-caecal tuberculosis

Explanation: Steroids are contraindicated in intestinal tuberculosis because silent perforation can occur. (REF.Essential of medical pharmacology K D TRIPATHI 6 Edition, Page No - 778)